Out of all the following statements regarding twins pregnancy, which one is false?
1. The frequencies of monozygotic twins is 1 in 250 Pregnancies
2. Division after formation of the embryonic disk results in conjoined twins
3. Most common type of Dizygotic twins are through superfetation
4. A dichorionic twin pregnancy can also denote monozygotic twins.

Correct answer: 3. Most common type of Dizygotic twins are through superfetation

Explanation: Option A,B,D are correct Superfecundation it is the fertilization of two or more ova from the same cycle by 2 different sperms(1 cycle & 2 eggs) Most common type of Dizygotic twins are through Superfecundation Superfetation : Very rare in humans. This is mostly a phenomenon seen in cattle. Here 2 eggs of 2 separate cycles are fertilised with 2 separate acts of intercourse.